Which of the following is related to floor of middle ear?
1. Round window
2. Internal carotid artery
3. Internal jugular vein
4. Tegmen tympani

Correct answer: 3. Internal jugular vein

Explanation: The floor or Jugular Wall of the middle ear is formed by a thin plate of bone which separates the middle ear from the superior bulb of the internal jugular vein. This plate is a part of the temporal bone, Near the medial wall, the floor presents the tympanic canaliculus which transmits the tympanic branch of the glossopharyngeal nerve to the medial wall of the middle ear. Ref: BD Chaurasia's HUMAN ANATOMY, Volume 3, 4th edition.